The lesions associated with recurrent dislocation of shoulder include all, except
1. Hill-Sach's lesion
2. Bankart's lesion
3. Capsular laxity
4. Supraspinatus tear

Correct answer: 4. Supraspinatus tear

Explanation: No single deformity is responsible for recurrent dislocation of shoulder.Three important reasons have bee cited and they have been called the essential lesions. TRIAD OF ESSENTIAL LESION: 1.Hill-Sachs lesion: Depression on humeral head in its posterolateral quadrant 2.Bankart's lesion : Dislocation causing stripping of the glenoidal labrum 3.Capsular laxity Ref: Maheshwari and Mhaskar 9th ed pg 90.